A pregnant woman was aborted by doctor, upon the request of husband and in laws, without the  consent of woman herself. This is punishable under
1. 315 IPC
2. 314 IPC
3. 313 IPC
4. 312 IPC

Correct answer: 3. 313 IPC

Explanation: 313IPC section-Causing miscarriage without woman s consent-Whoevr commits the offence without the consent of the woman, whether the woman is quick with child or not, shall be punished with imprisonment for life , or with imprisonment of either description for a term which may extend to 10 years and shall also be liable to fine.